Strawberry cervix is seen in -
1. Bacterial vaginosis
2. Trichomoniasis
3. Chlamydia
4. Ureaplasma urealyticum

Correct answer: 2. Trichomoniasis

Explanation: Ans. is 'b' i.e., Trichomoniasis o Patients infected with Trichomonas vaginalis complain of a typical discharge, which is thin, profuse, frothy, irritating, creamy or light green in colour. o Slight green colour of the discharge is often not complained by the patient but spotted by the physician Trichomoniasis: # Sexually transmitted disease. # Associated with other STDs, particularly gonorrhea. # NOT associated with infertility # Subepithelial haemorrhages produced give the appearance of strawberry spots on the vaginal vault and cervix, hence giving it the appearance of strawberry vagina and cervix, known as colpitis macularis. # In males, it infects the urethra and prostate. # Diagnosis is confirmed by Microscopic examination of wet mount of discharge specimen which shows motile trichomonas. # Culture is Gold standard but is impractical as it requires special culture medium known as Diamond medium. # Treatment: Metronidazole or Tinidazole or Secnidazole. # Alternate drugs : Polyoxyethylene suppository.